True about carotid body tumor-
1. Arises from pharyngeal wall
2. Arises from baroreceptor cells
3. Commonly seen in high altitude habitants
4. All

Correct answer: 3. Commonly seen in high altitude habitants

Explanation: Ans is 'c' i.e. Commonly seen in high altitude habitants Carotid body tumors arise from chemoreceptor cells of the carotid body (Baroreceptor cells are found in carotid sinus) Since the chemoreceptor cells are stimulated by decreased arterial oxygen tension, a higher incidence of carotid body tumors is noted in oxygen deprived individuals i.e. cyanotic heart ds, chronic hypoxia in high altitude inhabitants. According to Bailey 25/e p732- Family history is seen in -10% patients. (According to Schwartz its 35%) FNAC & biopsy are contraindicated because of the highly vascular nature of the tumor.